A 7 year old girl presented with three episodes of massive hematemesis and melena. There is no history of jaundice. On examination, she had a large spleen, non-palpable liver and mild ascites. Portal vein was not visualized on ultrasonography. Liver function tests were normal and endoscopy revealed esophageal varices. The most likely diagnosis is:
1. Kala azar with portal hypertension
2. Portal hypertension of unknown etiology
3. Chronic liver disease with portal hypertension
4. Portal hypertension due to extrahepatic obstruction

Correct answer: 4. Portal hypertension due to extrahepatic obstruction

Explanation: A patent portal vein suggests diagnosis of Intrahepatic portal HTN unless the clinical picture indicates post sinusoid cause. In this patient portal vein is not visualised. Diagnosis of portal hypertension is established by demonstrating the presence of portosystemic collateral and/or raised portal pressure. Ref: Kliegman, Behrman, Jenson, Stanton (2008), Chapter 363, "Portal hypertension and varices", In the book, "NELSON TEXTBOOK OF PEDIATRICS", Volume 2, 18th Edition, New Delhi, Page 1709; O P Ghai Essential Pediatrics, 6th Edition, Page 294.